Drug given for metoclopramide induced dystonic reaction is:
1. Pheniramine
2. Promethazine
3. Chlorpromazine
4. Prochlorperazine

Correct answer: 2. Promethazine

Explanation: Ans. (B) Promethazine(Ref: KDT 8th/e p180)"Acute muscle dystonia caused by antiemetic-antipsychotic drugs is promptly relieved by parenteral promethazine or hydroxyzine" This is based on central anti-cholinergic action of the drugs.Promethazine is a first generation anti-histaminic which has maximum penetration of blood brain barrier and maximum anticholinergic activity.